Which nerve is damaged in fracture surgical neck humerus -
1. Axillary
2. Radial
3. Ulnar
4. Median

Correct answer: 1. Axillary

Explanation: Ans. is 'a' i.e., Axillary Complications of fracture surgical neck humeruso Shoulder stiffness.o Axillary nerve is particularly vulnerable, both from the injury and from surgeryo Axillary artery injury o Malunion o Nonunion o Myositis ossificans